Length of Posterior vaginal wall is
1. Variable
2. Same as anterior vagina wall
3. Less than anterior vagina wall
4. More than anterior vagina wall

Correct answer: 4. More than anterior vagina wall

Explanation: The anterior wall of the vagina is about 8 cm long and the posterior wall about 10 cm long. ref - BDC 6e vol2 pg 393